A low kilovoltage technique is most advantageous in
demonstrating
1. Resorption of alveolar crest
2. Periapical lesions
3. Incipient caries
4. Nutrient canals

Correct answer: 3. Incipient caries